Most common site of tuberculosis of spine is?
1. Thoracolumbar
2. Sacral
3. Cervical
4. Lumbosacral

Correct answer: 1. Thoracolumbar

Explanation: Ans. (a) ThoracolumbarRef: Apley 387-389, Schwartz's Principles of Surgery 9th ed ch-29 M Tuli 3rded p-192